Drug of choice for fungal corneal ulcer:
1. Nystatin
2. Caspofungin
3. Natamycin
4. Amphotericin

Correct answer: 3. Natamycin

Explanation: Natamycin is a topical antifungal which is the drug of choice for fungal corneal ulcer.
Other topical antifungals : Nystatin, Clotrimazole, Tolnaftate, Ciclopirox